Varicose vein surgery is contraindicated in -
1. Varicose ulcers
2. Deep vein Thrombosis
3. Pigmentation Over limb
4. Hemorrhoides

Correct answer: 2. Deep vein Thrombosis

Explanation: Ans. is 'b' deep vein Thrombosis Ref Bailey & love, 24/e, p 963 (23/e, p 245)Surgical treatment of varicose vein is widely used and is effecive in removing varicose veins of the main saphenous trunks, as well as their tributaries, down to a size of about 3 mm. Veins smaller than this are best treated by Sclerotherapy. Surgical removal of varices is inappropriate where these form a major part of the venous drainage of the limb, for example where a deep vein thrombosis has destroyed the main axial limb veins and the pt. relies on the superficial veins." - Bailey & Love